Mesosomes in bacteria are functional unit for -
1. Lipid storage
2. Protein synthesis
3. Respiratory enzymes
4. carbohydrate breakdown

Correct answer: 3. Respiratory enzymes

Explanation: Mesosomes: These are vesicular convoluted or multilaminated structures formed as invagination of the plasma membrane into the cytoplasm. Mesosomes are of two types--septal and lateral. Mesosomes are analogous to the mitochondria of Eukaryotes and are the principal sites of respiratory enzymes in bacteria.